Tigroid Pattern on MRI is associated with which of the following disease?
1. Krabbe disease
2. Niemann Pick disease
3. Alexander disease
4. Metachromatic Leukodystrophy

Correct answer: 4. Metachromatic Leukodystrophy

Explanation: Metachromatic Leukodystrophy: Is a deep white matter leukodystrophy with sparing of subcortical U-fibers and lamellated or Tigroid pattern of the involved white matter. It is associated with Aryl Sulfatase deficiency. Characterized by bilateral symmetrical confluent areas of periventricular deep white matter signal change, in particular around the atria and frontal horns with sparing of subcortical U fibres can also leads to a "butterfly pattern". Progression can lead to cortical and subcortical atrophy.